The lymphocytic and histiocytic variant of Reed-Sternberg cell is seen in:
1. Follicular center lymphoma
2. Lymphocyte depleted Hodkin's disease
3. Nodular sclerosis Hodkin's disease
4. Lymphocyte predominant Hodkin's disease

Correct answer: 4. Lymphocyte predominant Hodkin's disease

Explanation: . Lymphocyte predominant Hodkin's disease